VIP levels are extraordinarily high in:
1. Verner-morrison syndrome
2. Celiac disease
3. Zollinger ellison syndrome
4. Paraganglioma

Correct answer: 1. Verner-morrison syndrome

Explanation: VIP belongs to the family of secretin and glucagon. VIP is usually produced by neurons. So its levels are kept minimum in blood normally. But in pancreatic cholera (Verner morrison syndrome) VIP levels are extraordinarily high in serum. It leads to watery diarrhea, hypokalemia, achlorhydria. Ref: Sleisenger and Fordtran's, Edition-9, Page-7